Crescent fracture is
1. Fracture of iliac crest
2. Fracture of coccyx
3. Fracture of calcaneum
4. Fracture of Atlas

Correct answer: 1. Fracture of iliac crest